Treatment of choice for salmonella typhi ?
1. Cephalexin
2. Gentamicin
3. Co-trimoxazole
4. Ciprofloxacin

Correct answer: 4. Ciprofloxacin

Explanation: Ans. is `d' i.e., Ciprofloxacin Treatment of Typhoid fever o Empirical treatment ---> Ceftriaxone, Azithromycin. o Fully susceptible ---> Ciprofloxacin (First line), Amioxicil lin (second line), Chloramphenicol, Trimethoprim - Sulfamethoxazole. o Multidrug resistant ---> Ciprofloxacin, Ceptriaxone, Azithromycin. o Nalidixic acid resistant --> Ceftriaxone, Azithromycin, high dose ciprofloxacin. Note : For susceptible organism ciprofloxacin is the DOC in typhoid fever. Treatment of carrier o Amoxicillin or ciprofloxacin with or without cholecystectomy.